Darting motility is shown by ?
1. Listeria
2. Campylobacter
3. Borrelia
4. Mycoplasma

Correct answer: 2. Campylobacter

Explanation: Ans. is 'b' i.e., Campylobacter